The creep in low copper amalgam is?
1. 2%
2. 0.40%
3. 0.13%
4. 0.20%

Correct answer: 1. 2%

Explanation: Compressive Strength, Creep and Tensile Strength of Low-Copper and High-Copper Amalgam: